End diastolic volume increases in:
1. Decrease in total blood volume
2. Increase in intrapericardial pressure
3. Increase in negative intrathoracic pressure
4. Decrease in ventricular compliance

Correct answer: 3. Increase in negative intrathoracic pressure

Explanation: Ans. c. Increase in negative intrathoracic pressureFactors Affecting End Diastolic VolumeEnd diastolic volume increases in conditions associated with increase in negative intrathoracic pressure.Factors Decreasing EDVIncreased intra-pericardial pressuredeg (as aresult of infection of pressure from a tumor):Limits the extent to which ventricle can fillDecrease in ventricular compliancedeg:Increase in ventricular stiffness produced by MI, infiltrative disease.Standing decreases venous returndegFactors Increasing EDVIncreased total blood volume increases venous returndeg:Constriction of vein reduces the size of venous reservoirIncreased negative intrathoracic pressuredeg:Increases the pressure gradient along which blood flows to theMuscle activitydeg: Increases venous return as a result of pumping action